Highest MAC is of Which inhalational agent-
1. Xenon
2. Halothane
3. Sevoflurane
4. Isoflurane

Correct answer: 1. Xenon

Explanation: Minimum alveolar concentration is defined as the alveolar concentration of an inhaled anesthetic agent that prevents movement in 50% of patients in response to a standardized surgical stimulus. Low MAC - High potency MAC values of adult Halothane: 0.75 Sevoflurane: 2.0 Isoflurane: 1.2 Desflurane: 6.0 Enflurane: 1.7 Xenon: 70 N2O: 104